Swelling between tonsillar area and superior constrictor muscle is known as
1. Quinsy
2. Dental abscess
3. Parapharyngeal abscess
4. Retropharyngeal abscess

Correct answer: 1. Quinsy

Explanation: Ans. a (Quinsy). (Ref. Disease of ENT by PL Dhingra 3rd /pg. 318)PERITONSILLAR ABSCESS (QUINSY)# It is collection of pus between capsule of tonsils and superior constrictor muscle.# It is characterized by hot potato voice and odynophagia and halitosis.# While draining it should be opened at the point of maximum bulge above upper pole of tonsil or just lateral to point of junction of anterior pillar, with a line drawn through the base of uvula.# Tonsils are removed 5-6 weeks following an attack of Quinsy.6# Quinsy tonsillectomy vs. Interval tonsillectomy- Quinsy tonsillectomy can be a treatment option in pediatric patients to young to withstand bedside aspiration or * I&D for recurrent PTA.- Quinsy tonsillectomy can be surgically easier than interval tonsillectomy as fibrosis has not had time to set into themtonsillar capsule.- Interval tonsillectomy can be considered after successful abscess drainage, usually from recurrent PTA after 4-6 weeks.